Hydroxyproline and hydroxylysine occur principally in
1. Collagen
2. Elastin
3. Synovium
4. Hyaline

Correct answer: 1. Collagen

Explanation: Hydroxyproline and hydroxylysine occur principally in collagen. Since there is no tRNA for either hydroxylated amino acid, neither dietary hydroxyproline nor dietary hydroxylysine is incorporated during protein synthesis. Ref: Harper's biochemistry; 30th edition; Chapter 27 Biosynthesis of the Nutritionally Nonessential Amino Acids